Which of the following vitamin is required for the synthesis of blood clotting factors?
1. Vitamin K
2. Vitamin C
3. Riboflavin
4. Cobalamin

Correct answer: 1. Vitamin K

Explanation: VITAMIN K IS REQUIRED FOR SYNTHESIS OF BLOOD-CLOTTING PROTEINS Antagonists of vitamin K are used to reduce blood coagulation in patients at risk of thrombosis; the most widely used is warfarin. Reference: Harper; 30th edition; Page no: 553